Mesonephric derivatives are all except
1. Glomerulus
2. Para- oophoron
3. Vas deferens
4. Epididymis

Correct answer: 1. Glomerulus

Explanation: Glomerulus is derived from Mesonephric blastema, Mesonephric duct gives ureteric bud to form the collecting system of kidneys, Wolffian duct give male reproductive system. Ref: Gray's 39e/p-1289